A long term diabetic patient found to have microalbuminuria. He may excrete the proteins at the range of:
1. 100 - 150 mg/day
2. 30 - 300 mg/day
3. 201 - 300 mg/day
4. 301 - 600 mg/day

Correct answer: 2. 30 - 300 mg/day

Explanation: Proteinuria > 150 mg/day is considered abnormal. Microalbuminuria refers to urinary albumin excretion of 30-300 mg/day. Microalbuminuria is commonly used to detect early renal disease in diabetic patients, and so is mainly used in the primary care setting rather than the inpatient setting. When proteinuria exceeds 3.5 g/day, it is in the nephrotic range, and when accompanied by hypoalbuminemia, edema, and hyperlipidemia, full-blown nephrotic syndrome is present. Ref: Schaffer A.C. (2012). Chapter 104. Urinalysis and Urine Electrolytes. In G.V. Lawry, S.C. McKean, J. Matloff, J.J. Ross, D.D. Dressler, D.J. Brotman, J.S. Ginsberg (Eds), Principles and Practice of Hospital Medicine.